All of the following statements about LDL are true except:
1. It delivers cholesterol to cells
2. It contains only one Apoprotein
3. It is a marker for cardiovascular disease
4. It contains Apo-B4

Correct answer: 4. It contains Apo-B4

Explanation: D i.e. It contains Apo-B4LDL has highest cholesterol and cholesteryl ester contentQ and possesses only apo B-100 as their major apoproteinQ. Its primary function is to provide cholesterol (whether dietary or endogenous) to peripheral (extrhepatic) tissueQ. So it is most potent atherogenic lipoprotein, increasing the risk of cardiovascular diseaseQ and showing a positive correlation between the incidence and plasma concentration of LDL cholesterol.